Man is intermediate host for:
1. Brugia malayi
2. W. Bancrofti
3. Plasmodium
4. T. saginata

Correct answer: 3. Plasmodium

Explanation: In plasmodium human is the intermediate host and mosquito is the definative host . Definitive host-- a.Harbors -- Adult parasite b.Harbors most highly developed Form. c.Where sexual replication occurs. Intermediate host-- Harbours Asexual form Humans act as intermediate host for Plasmodium, Toxoplasma, Babesia, Echinococcus and T. Solium. Intermediate host for W. bancrofti and Brugia malayi is mosquito. cattle is intermediate host for T. saginata.